Antineutrophil cytoplasmic antibody-associated vasculitides include all except
1. Wegener granulomatosis
2. Polyareteritis nodosa
3. Microscopic polyangiitis
4. Churg-Strauss syndrome

Correct answer: 2. Polyareteritis nodosa

Explanation: Wegener's granulomatosis, microscopic polyangiitis, and Churg-Strauss syndrome are small- to medium-vessel vasculitides linked by overlapping pathology and the presence of antineutrophil cytoplasmic antibodies (ANCA). Commonly referred to as the ANCA-associated vasculitides, POLYARTERITIS NODOSAIt is a multisystem, necrotizing vasculitis of small and medium-sizedmuscular arteries in which involvement of the renal and visceral aeriesis characteristic.Polyarteritis nodosa does not involve pulmonary arteries, although bronchial vessels may be involved.Antibodies against myeloperoxidase or proteinase-3 (ANCA) are rarely found in patients with polyarteritis nodosa.Harrison 19th e pg:2187